A patient with cataract exhibits polychromatic lustre of reds, greens and blues. He is having the following type of cataract:
1. Complicated cataract
2. Diabetes mellitus
3. Post-radiation cataract
4. Congenital cataract

Correct answer: 1. Complicated cataract

Explanation: Complicated cataract refers to opacification of the lens secondary to some other intraocular disease. Typically the complicated cataract starts as posterior cortical cataract. Lens changes appear typically in front of the posterior capsule. The opacity is irregular and variable in density. In the beam of slit lamp the opacities have an appearance like 'bread crumb'. A very characteristic sign is the appearance of iridescent coloured particles the so-called 'polychromatic lustre' of reds, greens, and blues. A diffuse yellow-haze is seen in the adjoining cortex. Ref: Ophthalmology by A K Khurana, 4th edition, Page 181-182.